The disclosing agent used in modified Quigley Hein plaque index is:
1. Carbol fuchsin
2. Basic fuchsin
3. Sodium Fluorescein
4. Two tone dye

Correct answer: 2. Basic fuchsin